Uveitis is caused by –a) TBb) Staphylococcusc) Streptococcusd) Klebsiellae) E.Coli
1. ab
2. abc
3. acd
4. bcd

Correct answer: 2. abc

Explanation: TB causes chronic granulomatous uveitis.
Staphylococcus and streptococcus cause acute non-granulomatous pyogenic uveitis.